ECF volume is best evaluated by
1. Mannitol
2. Inulin
3. D2O
4. Evan's blue

Correct answer: 2. Inulin

Explanation: ECF volume is measured by inulin which is a polysaccharide.(Ref: Textbook of physiology N Geetha 2nd edition page no.61)